Serial extraction should not be undertaken if there is
1. Crowding
2. Presence of ectopic eruption
3. Deep bite or open bite
4. None of these

Correct answer: 3. Deep bite or open bite